Leiden mutation is associated with?
1. Factor IV
2. Factor V
3. Factor VIII
4. Factor IX

Correct answer: 2. Factor V

Explanation: Leiden mutation is associated with factor 5.This is also a autosomal dominant disorder in which mutation lies in the replacement of arginine by glycine at position 506.Most common cause of thrombophilia. Reference :Harsh Mohan textbook of pathology 7th edition.Pg no.102